Valve of Hasner is present at
1. Stensons duct
2. Common bile duct
3. Naso lacrimal duct
4. Maxillary Sinus

Correct answer: 3. Naso lacrimal duct